Transplantation between genetically different members of the same species is termed as -
1. Autograft
2. Isograft
3. Allograft
4. Xenograft

Correct answer: 3. Allograft

Explanation: The graft is the tissue or organ transplanted. An allograft is grafted between two genetically identical members of the same species. Reference : Anathanarayan & paniker's 9th edition, pg no: 183,184